Immediate metabolic products after breakdown of Fructose 1-6 bisphosphate in glycolysis:
1. 3-phosphoglycerate and 1,3 bisphosglycerate
2. Glyceraldehyde -3-phosphate and 1,3-bisphosphoglycerate
3. Dihydroxyacetone phosphate and dihydroxyacetone phosphate
4. Glyceraldehyde-3-phosphate and dihydroxyacetone phosphate

Correct answer: 4. Glyceraldehyde-3-phosphate and dihydroxyacetone phosphate

Explanation: Reaction of glycolysis is catalysed by enzyme Aldolase A, Fructose 1-6 bisphosphate- Glyceraldehyde-3-phosphate + Dihydroxyacetone phosphate (DHAP).